'Lock and Key model' of enzyme action was proposed by
1. Emil Fisher
2. Daniel Koshland
3. Lenor Michaelis
4. Maud Menten

Correct answer: 1. Emil Fisher

Explanation: Lock and key hypothesis By emil Fischer Active site is rigid Substrate has complimentary shape Demerits: 1. Rigid active site in reversible reaction. 2. Stabilization of transition state Ref: G n G 13th ed.